Distal end of humerous develops from how many centres ?
1. 2
2. 5
3. 3
4. 4

Correct answer: 4. 4

Explanation: Ans. is 'd' i.e., 4Part of humerus OssificationShaft One primary centerUpper end Three secondary centers ?One for head (appears in 1" year).One for greater tubercle (appears in 2ndeg year).One for lesser tubercle (appears in 5th year).This three centers fuses together during 6th year and finally with shaft during 20th year.Lower end Four secondary centersOne for capitulum & lateral flange of trochlea (19t year).One for medial flange of trachlea (9th year).One for lateral epicondyle (12th year).These three fuse during 14th year to form one epiphysis which fuses with shaft at 16 years.One for medial epicondyle (4-6 years), which separately fuses with shaft during 20th year.